Most Pit and ﬁssure sealants are based on
1. Bis GMA
2. TEGDMA
3. UDMA
4. All of the above

Correct answer: 1. Bis GMA

Explanation: The most common sealants are based on bisphenol A-glycidyl methacrylate (Bis-GMA) resin and are light-cured, although some self-cured products are also available. The viscous Bis-GMA resin is mixed with a diluent, such as triethylene glycol dimethacrylate, to produce a reasonably low-viscosity, ﬂowable resin.
Craig Ed 14th P:123